Risk of kernicterus is increased in all except –
1. Low level of serum albumin
2. Prematurity
3. Acidosis
4. High levels of serum albumin

Correct answer: 4. High levels of serum albumin